Example for Denticulate suture
1. Internasal suture
2. Coronal suture
3. Lambdoid suture
4. Parietotemporal suture

Correct answer: 3. Lambdoid suture

Explanation: Types of sutures:Plane: Internasal sutureSerrate: Coronal sutureDenticulate: Lambdoid sutureSquamous: Parieto-Temporal sutureReference: Chourasia; 6th Edition; 4th page